Medial geniculate body is related to?
1. Vision
2. Hearing
3. Balance
4. Smell

Correct answer: 2. Hearing

Explanation: ANSWER- (B) HearingREF: Guyton's physiology 22nd edition page 657The Medial Geniculate Nucleus (MGN) or Medial Geniculate Body (MGB) is part of the auditory thalamus and represents the thalamic relay between the inferior colliculus (IC) and the auditory cortex (AC)Auditory Nervous PathwaysFigure shows the major auditory pathways. It shows that nerve fibers from the spiral ganglion of corti enter the dorsal and ventral cochlear nuclei located in the upper part of the medulla. At this point, all the fibers synapse, and second-order neurons pass mainly to the opposite side of the brain stem to terminate in the superior olivary nucleus. A few second order fibers also pass to the superior olivary nucleus on the same side. From the superior olivary nucleus,the auditory pathway passes upward through the lateral lemniscus. Some of the fibers terminate in the nucleus of the lateral lemniscus, but many bypass this nucleus and travel on to the inferior colliculus, where all or almost all the auditory fibers synapse. From there, the pathway passes to the medial geniculate nucleus, where all the fibers do synapse. Finally, the pathway proceeds by way of the auditory radiation to the auditory cortex, located mainly in the superior gyrus of the temporal lobe.Auditory Pathway Auditory pathway Mnemonic: E-COLI-MAEighth nerveCochlear nucleusSuperior olivary complexLateral lemniscusInferior colliculusMedial geniculate bodyAuditory Cortex (Brodmann's area 41)